Slit smear negative leprosy is-
1. Neuritic type
2. Tuberculoid type
3. Indeterminate type
4. All

Correct answer: 4. All

Explanation: Ans. is 'a' i.e., Neuritic type; 'b' i.e., Tuberculoid type & 'c' i.e., Indeterminate type o Indeterminate type, tuberculoid type, Pure neuritic type Bacteriologically negative. o Borderline Bacteriologically variable o Lepromatous type --> Bacteriologically positive.